60 year old man presents with an ulcer on lateral margin of tongue also complains of ear pain, most probable diagnosis is -
1. Dental ulcer
2. Carcinomatous ulcer
3. Tuberculosis ulcer
4. Syphilitic ulcer

Correct answer: 2. Carcinomatous ulcer

Explanation: Ans. is 'b' i.e., Carcinomatous ulcer